Which of the following physical signs is seen in a patient with severe aortic stenosis
1. Opening snap
2. Diastolic rumble
3. Holosystolic murmur
4. Delayed peak of systolic murmur

Correct answer: 4. Delayed peak of systolic murmur